Vulvar atrophy and itching are treated by-
1. Estrogen ointment
2. Antihistamines
3. Tamoxifen
4. Oral antifungal treatment

Correct answer: 1. Estrogen ointment

Explanation: Vulvar atrophy and itching in menopausal age group are due to deficiency of estrogen that cause dryness of vulva which causes itching. Ideal treatment of this manifestation of post menopausal urogenital atrophy is some form of Hormone Replacement. Topical estrogen is most effective with minimal systemic side effects